Mechanism of action of vincristine in the treatment of ALL is :
1. Inhibition of topoisomerase II to cause breaks in DNA strands
2. Alkylation and cross linking DNA strands
3. Inhibition of DNA mediated RNA synthesis
4. Inhibition of polymerization of tubulin to form microtubules

Correct answer: 4. Inhibition of polymerization of tubulin to form microtubules